HPV with low risk sexually transmitted types include
1. 6 & 11
2. 16 & 18
3. 26 & 53
4. 73 & 82

Correct answer: 1. 6 & 11

Explanation: (A) 6 & 11# GENITAL INFECTIONS: Since cervical and female genital infection by specific HPV types is highly associated with cervical cancer, those types of HPV infection have received most of the attention from scientific studies.> HPV infections in that area are transmitted primarily via sexual activity.> Of the 120 known human papillomaviruses, 51 species and three subtypes infect the genital mucosa. 15 are classified as high-risk types (16, 18, 31,33, 35, 39, 45, 51, 52, 56, 58, 59, 68, 73, and 82) 3 as probable high-risk (26, 53, and 66) 12 as low-risk (6, 11,40, 42, 43, 44, 54, 61, 70, 72, 81, and CP6108).> If a college woman has at least one different partner per year for four years, the probability that she will leave college with an HPV infection is greater than 85%.> Condoms do not completely protect from the virus because the areas around the genitals including the inner thigh area are not covered, thus exposing these areas to the infected person's skin.